Drugs causing anterior subcapsular opacities are all except
1. Phenothiazines
2. Systemic steroids
3. Amiodarone
4. Busulphan

Correct answer: 2. Systemic steroids

Explanation: TOXIC CATARACTS Corticosteroid-induced cataract : Posterior subcapsular opacities are associated with the use of topical as well as systemic steroids. Prolonged use of steroids in high doses may result in cataract formation. Children are more susceptible than adults. Miotics-induced cataract : Anterior subcapsular granular type of cataract may be associated with long-term use of miotics, particularly long acting cholinesterase inhibitors such as echothiophate, demecarium bromide, disopropyl fluorophosphate (DFP). Other drugs associated with fine toxic cataracts are amiodarone, chlorpromazine, busulphan, gold and allopurinol. Ref:- A K Khurana; pg num:-182